Amino acid required for formation of thyroxine?
1. Tryptophan
2. Tyrosine
3. Glutamine
4. Cysteine

Correct answer: 2. Tyrosine

Explanation: Ans. is 'b i.e., Tyrosine The term thyroid hormone denotes both thyroxine (7'4) and triodothyronine (T3). Both T4 and T3 are iodine derivatives of thyronine. Thyronine is a condensation product of two molecules of amino acid tyrosine. Thyroxine is 3, 5, 3', 5' - tetraiodothyronine and T3 is 3, 5, 3 '-triiodothyronine. Thyroid hormones are synthesized and stored in the thyroid follicles as apart of thyroglobulin molecule.